A young male presents with painful ulcers on the mouth and glans penis with blurred vision and history of recurrent epididymitis. Which of the following is the most probable diagnosis?
1. Behcet syndrome
2. Oculocutaneous aphthous ulcer syndrome
3. Fabry's disease
4. Epidermolysis bullosa

Correct answer: 1. Behcet syndrome

Explanation: Ans. a. Behcet's syndromeHistory of painful oral and penile ulcers with ocular involvement in form of blurring of vision points towards Behcet's disease but confusion arises out of history of recurrent epididymitis, which is solved by Harrison's which states; "Epididymitis is seen in 5% of patients of Behcet's syndrome"Behcet's syndrome is a multisystem disorder presenting with recurrent oral and genital ulcerations as well as ocular involvement.